True about imipenem is -
1. It is a narrow spectrum antibiotic
2. It is easily broken by beta lactam
3. It can be used with cilastatin
4. It is used with sulbactam

Correct answer: 3. It can be used with cilastatin

Explanation: Ans. is 'c' i.e., It can be used with cilastatin o A limiting feature of imipenem is its rapid hydrolysis by the enzyme dehydropeptidase-I located on the brush border of renal tubular cells. Cilastatin is a reversible inhibitor of dehydropeptidase -1. It protects the imipenem from this enzyme. o Carbapenems have the widest spectrum of all currently available antimicrobials, being bactericidal against most gram positive andgram negative aerobic and anaerobic pathogenic bacteria.